All the follow ing form part of occupational health history except -
1. History of previous occupation
2. Exposure to dust
3. Childhood immunisations
4. Safety

Correct answer: 3. Childhood immunisations

Explanation: Ans. is 'c' i.e., Childhood immunization Pre-placement examination o Pre-placement examination refers to examination of a person before giving a job. o The purpose of preplacement examination is to place the right man in the right job, so that the warker can perform his duties efficiently without detriment to his health. o It is done at the time of employment and includes ? 1) History --> Medical, family, occupational and social 2) Thorough physical examination 3) Battery of biological and radiological examinations -9 Chest X-ray, ECG, vision testing, urine and blood examination 4) Special tests for endemic disease